At which location along the basilar membrane are the highest frequency sounds detected?
1. Near oval window
2. Farthest from the oval window, near the helicotrema
3. Uniformly along the basilar membrane
4. At the midpoint of the membrane

Correct answer: 1. Near oval window

Explanation: Each wave is relatively weak at the outset but becomes strong when it reaches the portion of the basilar membrane that has a natural resonant frequency equal to the respective sound frequency. At this point, the basilar membrane can vibrate back and forth with such ease that the energy in the wave is dissipated. Consequently, the wave dies at this point and fails to travel the remaining distance along the basilar membrane.Thus, a high-frequency sound wave travels only a short distance along the basilar membrane before it reaches its resonant point and dies, a medium-frequency sound wave travels about halfway and then dies, and a very low-frequency sound wave travels the entire distance along the membrane.Ref: Guyton; 13th edition; Chapter 53 The Sense of Hearing; Page no: 675